A 25-year-old woman presents with a history of recurrent shortness of breath and severe wheezing. Laboratory studies demonstrate that she has a deficiency of C1 inhibitor, an esterase inhibitor that regulates the activation of the classical complement pathway. What is the diagnosis?
1. Chronic granulomatous disease
2. Hereditary angioedema
3. Myeloperoxidase deficiency
4. Selective IgA deficiency

Correct answer: 2. Hereditary angioedema

Explanation: =Deficiency of C1 inhibitor, with excessive cleavage of C4 and C2 by C1s, is associated with the syndrome of hereditary angioedema. Feature:- Episodic Painless Non-pitting edema of soft tissues. =Chronic granulomatous disease (choice A) is due to a hereditary deficiency of NADPH oxidase. =Myeloperoxidase deficiency (choice C) increases susceptibility to infections with Candida. =Selective IgA deficiency (choice D) and Wiskott-Aldrich syndrome are congenital immunodeficiency disorders associated with defects in lymphocyte function